Which of the following is the most frequent presentation of osteoporosis?
1. Weight loss
2. Bowing of legs
3. Vertebral compression fracture
4. Low serum calcium level

Correct answer: 3. Vertebral compression fracture

Explanation: Compression fracture or collapse of vertebrae resulting in back ache is the usual symptom of osteoporosis. Osteoporosis is a skeletal disorder characterized by a loss of bone osteoid that reduces bone integrity resulting in increased risk of fractures. It is associated with normal serum calcium, phosphate and parathyroid hormone level. Reference: Current Medical Diagnosis and Treatment 2013, chapter 26.